Term schizophrenia was coined by -
1. Eugene bleuler
2. Kahlbaum
3. Hecker
4. Emil Kraepelin

Correct answer: 1. Eugene bleuler

Explanation: Ans. is 'a' i.e., Eugene Bleuler Term related to schizophreniaCoined byo Demence precoceo Catatoniao Hebephreniao Dementia procoxo SchizophreniaMorelKahlbaumHeckerEmil kraepelinEugen bleuler